True about HUS -
1. Thrombocytopenia
2. Schistocytes seen in peripheral blood
3. Caused by E coli
4. All

Correct answer: 4. All

Explanation: Ans. is 'a' i.e., Thrombocytopenia; 'b' i.e., Schistocytes seen in peripheral blood; 'c' i.e., Caused by E. coli Following information have been added in 811' of Robbins o Hemolytic uremic syndrome is classified into two types: Typical (epidemic, classical, diarrhea-positive) HUS --/ occurs in children. HUS described in previous explanations is typical HUS Atypical (non-epidemic, diarrhea-negative) --> occurs mainly in adults. Most of the patients have deficiency of complement regulatory proteins, factor H (most common), Factor I, and CD46 (membrane cofactor protein). Other conditions that cause atypical HUS are antiphospholipid syndrome, pregnancy or postpartum period, systemic sclerosis, malignant hypertension, chemotherapeutic (mitomycin, cyclosporine, cisplatin, gemcitabine), irradiation to kidney. o HUS patients with neurological symptoms has normal ADAMTS 13 which distinguish it from TTP in which ADAMTS 13 is deficient. o Chronic disease of kidney is confined to atypical HUS or TTP (not in typical HUS) and kidney may show reduplication (splitting) of basement membrane (double contours or tram tracks) and onion-skinning of vessels.